Dupuytren's contracture occur in -a) Diabetes Mellitusb) Alcoholc) Epilepsyd) Rheumatoid Arthritise) Chronic Pulmonary disease
1. bcde
2. abcd
3. abce
4. abde

Correct answer: 3. abce

Explanation: The exact etiology is unknow; However, the condition is more commonly associated with following conditions :-


Epileptics taking phenytoin      
Diabetes   
Smoking
Alcoholic cirrhosis
AIDS
Pulmonary TB